1upquarks + 2downquarks suggests the following:
1. Proton.
2. Neutron.
3. Electron.
4. Positron.

Correct answer: 2. Neutron.